Kanner's syndrome is also known as
1. Autism
2. Osteogenesis imperfecta
3. Trigeminal neuralgia
4. Diabetes mellitus type I

Correct answer: 1. Autism